Which thalamic nucleus projects to the striatum?
1. Centromedian nucleus
2. Mediodorsal nucleus
3. Ventral anterior nucleus
4. Ventral lateral nucleus

Correct answer: 1. Centromedian nucleus

Explanation: The striatum (caudate nucleus & putamen) receives thalamic input from centromedian nucleus. centromedian nucleus- largest of the intralaminar nuclei.